Safety muscle of tongue is?
1. Genioglossus
2. Palatoglossus
3. Styloglossus
4. Hyoglossus

Correct answer: 1. Genioglossus

Explanation: Ans. A GenioglossusRef: BDC, 5th ed. pg. 252* Genioglossus is a fan shaped, bulkiest muscle of tongue.* It is originated from upper genial tubercle of mandible and inserted into tip of tongue and into hyoid bone.* Function -It retracts and depresses the tongue. It is also known as life saving muscle because it pulls the posterior part of tongue forwards and protrudes the tongue forwards.Extra Mile* MOTOR: All the extrinsic and intrinsic muscles of tongue are supplied by hypoglossal nerve EXCEPT palatoglossus, which is supplied by the cranial root of accessory nerve through the pharyngeal plexus.* SENSORY: Anterior 2/3rd by facial nerve (lingual branch); posterior 1/3rd glossopharyngeal.Posterior most or valeculla is supplied by vagus nerve.